Filament in X-ray made of:
1. Tungsten filament
2. Chromium
3. Gallium
4. Selenium

Correct answer: 1. Tungsten filament

Explanation: Please remember: Target is not Tungsten inmammography, its made up off molybdenum.